Non-parenteral hepatitis is:
1. Hepatitis A
2. Hepatitis  B
3. Hepatitis  C
4. Hepatitis  D

Correct answer: 1. Hepatitis A